All of the following are true regarding marantic endocarditis except:
1. Vegetation may embolize
2. Vegetations along the line of closure of leaflets
3. Affects damaged valves
4. May be associated with hypercoagulable states

Correct answer: 3. Affects damaged valves

Explanation: Ans. C: Affects damaged valvesNonbacterial thrombic endocarditis (NBTE)/marantic endocarditis is most commonly found on previously undamaged valves.As opposed to infective endocarditis, the vegetations in NBTE are small, sterile, and tend to aggregate along the edges/ line of closure of the valve or the cusps.Also unlike infective endocarditis, NBTE does not cause an inflammation response from the body.NBTE usually occurs during a hypercoagulable state such as system wide bacterial infection, or pregnancy, though mucinous adenocarcinoma where Trousseau syndrome can be encountered.it is also sometimes seen in patients with venous catheters. NBTE may also occur in patients with cancers, particularly Typically NBTE does not cause many problems on its own, but parts of the vegetations may break off and embolize to the heart or brain, or they may serve as a focus where bacteria can lodge, thus causing infective endocarditis.